As a part of space-research program, a physiologist was asked to investigate the effect of flight-induced stress on blood pressure. Accordingly the blood pressure of the cosmonauts was to be measured twice: Once before the takeoff and once after the spacecraft entered the designated orbit around the earth. For a proper comparison, the preflight blood pressure should be recorded in:
1. The lying down position
2. The sitting position
3. The standing position
4. Any position, as long as the post - flight recording is made in the same position

Correct answer: 1. The lying down position

Explanation: Ans. (a) The lying down position(Ref: Guyton, 13th ed/p.566)Gravity factor is totally eliminated in spaceSo, for comparison preflight BP should be taken in the lying down position